Maximum demographic gap seen in
1. Late stage 2
2. Early stage 2
3. Stage 4
4. Late stage 3

Correct answer: 1. Late stage 2

Explanation: Max demographic gap is in "late stage 2" Min demographic gap is in "Stage 1" & "Stage 4" Contraction of starting demographic gap is in "early part of stage-3" Negative demographic gap is seen in "stage-5"